Treatment of malignant ovarian tumours is :
1. Total hysterectomy
2. Total salpingo - oophorectomy
3. Total hysterectomy with unilateral salpingo - oophrectomy
4. Total hysterectomy with bilateral salpingo -oophorectomy

Correct answer: 4. Total hysterectomy with bilateral salpingo -oophorectomy

Explanation: Total hysterectomy with bilateral salpingo -oophorectomy